The primary role of chaperones is to help in
1. Protein synthesis
2. Protein degradation
3. Protein denaturation
4. Protein folding

Correct answer: 4. Protein folding

Explanation: Proteins must fold to achieve their functional form. Folding can be spontaneous or facilitated by chaperones. Proteins that are defective (for example misfolded) or destined for rapid turnover are marked for destruction by the attachment of chains of a small, highly conserved protein called ubiquitin. Ubiquitinated proteins are rapidly degraded by a cytosolic complex known as the proteasome. Reference: Lippincotts illustrated reviews of Biochemistry Sixth edition: page no; 807